Most common organism isolated in breast abscess patients
1. Streptococcus
2. Staphylocoeus aureus
3. Klebsiella
4. None

Correct answer: 2. Staphylocoeus aureus

Explanation: Ans. (b) Staphylocoeus aureus (Ref Schwartz 10th edition Page 506)* MC organism causing mastitis - Staphylococcus aureus > Streptococcus* Zuska's Disease: RecurrentPeriductal mastitis seen in Smokers.